What is not true about point source epidemic?
1. Plateau phace
2. No secondary waves
3. Explosive epidemic
4. Only one peak

Correct answer: 1. Plateau phace

Explanation: .point source epidemics ,here the eriod of exposure is only brief,and simultaneous ,the resultant cases will develop within one incubation period of the disease.the curve has usually one peak.the epidemic curve rises and falls rapidly, with no secondary waves.and it tends to be explosive. ref:park's textbook,ed 22,pg no 62